The sphenoethmoidal recess has opening of -
1. Maxillary sinus
2. Bullaethmoidalis
3. Ethmoid sinus
4. Sphenoid sinus

Correct answer: 4. Sphenoid sinus

Explanation: Ans. is 'd' i.e., Sphenoid sinus Part of lateral nasal wallOpeningsInferiorNasolacrimal ductMiddleFrontal sinus, Maxillary sinus, Anterior ethmoidal sinusSuperiorPosterior ethmoidal sinusSphenoethmoidal recessSphenoid sinus